Upper class score in Kuppuswamy Socio-economic status scale is:
1. 10-May
2. 15-Nov
3. 16-25
4. 26-29

Correct answer: 4. 26-29

Explanation: Socioeconomic classes under Modified Kuppuswamy Scale Socioeconomic class Total score Upper 26-29 Upper middle 16-25 Lower middle 11-15 Upper lower 05-10 lower 01-04